An attribute or exposure that is significantly associated with the development of a disease is:
1. Agent factor
2. Risk factor
3. Exposure factor
4. None of the above

Correct answer: 2. Risk factor